Thyroid storm after operation is due to
1. Inadequate control of hyperthyrodism
2. Massive bleeding
3. Recurrent laryngeal nerve injury
4. Postoperative infection

Correct answer: 1. Inadequate control of hyperthyrodism

Explanation: Thyroid strom is acute exacerbation of hyperthyroidism. It occurs if a thyrotoxic patient has been inadequately prepared for thyroidectomy. It is characterized by a high fever, fast and often irregular heart beat, vomiting, diarrhea, and agitation. Treatment include administration of intravenous fluids for dehydration, cooling the patient with ice packs for hyperpyrexia, administration of oxygen, diuretics for cardiac failure, digoxin for uncontrolled atrial fibrillation, sedation and intravenous hydrocortisone . Specific treatment is by carbimazole 10-20 mg 6-hourly, Lugol's iodine 10 drops 8-hourly by mouth or sodium iodide 1 g i.v. Propranolol intravenously (1-2 mg) or orally (40 mg 6-hourly) will block beta-adrenergic effects. Source : Bailey and Love 26th edition Pg : 762